All of the following drugs are used in the treatment of Pneumocystis carni pneumonia, except?
1. Pentamidine
2. Dapsone
3. Cotrimoxazole
4. Fluoroquinolones

Correct answer: 4. Fluoroquinolones

Explanation: Trimethoprim-sulfamethoxazole (Cotrimoxazole) is the drug of choice of Pneumocystis carini pneumonia. Other drugs effective in its treatment are dapsone, pentamidine, atovaquone, primaquine and clindamycin. Methylprednisolone is also indicated in HIV positive patients with moderate to severe PCP. Fluoroquinolones are not indicated in its treatment.